The apparent volume of distribution (Vd) of a drug exceeds total body fluid volume, if a drug is:
1. Sequestrated in body tissues
2. Slowly eliminated from body
3. Poorly soluble in plasma
4. Highly bound to plasma proteins

Correct answer: 1. Sequestrated in body tissues

Explanation: - The apparent volume of Distribution (Vd) = Dose administered by IV route/Plasma concentration.
- Consider the body as a single compartment in which the drug gets homogenously distributed. So it can be defined as, “The volume that would accommodate all the drug in the body if the concentration throughout was the same as in plasma.”
- In the case of lipid insoluble drugs, drugs do not enter the cells. So their V will be similar to ECF volume. 
- Drugs sequestrated in other tissues may have V much more than total body water or even body mass.